Which of the following is given at intervals as a pusatile therapy?
1. GnRH
2. GH
3. PSH
4. Estrogen

Correct answer: 1. GnRH

Explanation: Ans. a (GnRH) (Ref. KDT 6th/pg. 239; Shaw's Textbook of Gynaecology 13th/pg. 309)Since only pulsatile exposure to GnRH induces FSH/LH secretion, while continuous exposure desensitizes pituitary gonadotropes resulting in loss of Gn release, therapy with GnRH or its analogues is not useful in the Rx of hypogonadism.Pulsatile GnRH is used in1. Hypothalamic amenorrhea2. Hypothalamic hypogonadal infertility3. Cryptorchism in males4. PCOD and endometriosisContinuous or monthly depot GnRH is used in1. Precocious puberty2. Contraception3. DUB4. Endometriosis5. Shrink the fibroid preoperatively6. Shrink endometrium prior to transcervical resection in DUB.